Which of the following is not a mood stabilizer?
1. Lithium
2. Valproate
3. Carbamazepine
4. Fluoxetine

Correct answer: 4. Fluoxetine

Explanation: Fluoxetine is an SSRI and is used as an anti depressant. Lithium , valporate and carbamazepine are the mood stabilzers. Ref KD Tripathi 8th ed.